A pregnant woman aged 30 years after trauma feeling tingling pain and numbness at the tips of thumb , index finger and middle finger, on examination doctor presses between the wrist joint for 30 seconds and the patient de- velops more pain at the tips of the middle ,index finger and thumb. What is the diagnosis
1. Carpal tunnel syndrome
2. Cubital tunnel syndrome
3. Tarsal tunnel syndrome
4. Pronator syndrome

Correct answer: 1. Carpal tunnel syndrome

Explanation: Ans. (a) Carpal tunnel syndromeRef: Maheshwari 5th ed. / 303Entrapment SyndromeNerve involvedCarpal tunnel syndrome aka Pronator syndromeMedian nerve (at wrist)Median nerve (proximally compressed beneath - ligament of struthers, bicipital aponeurosis or origins of pronator teres or flexor digitorum superficialisCubital tunnel syndrome/ Guyon's canal syndromeUlnar nerve (between two heads of flexor carpi ulnaris or arcade of struthers)Ulnar nerve (at wrist)Tarsal tunnel syndromePosterior tibial nerve (behind & below medial malleolus)Thoracic outlet syndromeLower trunk of brachial plexus, (C8 & Tl) & subclavian vessels (between clavicle & first rib)Meralgia parastheticaLateral cutaneous nerve of thighMorton's metatarsalgiaInterdigital nerve compression (usually of 3rd, 4th toe)